Vertical measure in mm from granular cell layer to the deepest part of tumour used in Melanoma for prognosis is
1. Breslow s method
2. Clarks s method
3. Thomas method
4. Ashpit s method

Correct answer: 1. Breslow s method

Explanation: Breslow s thickness less than 1.7mm carries favorable prognosis.